The following local anaesthetic raises BP instead of tending to cause a fall :
1. Cocaine
2. Dibucaine
3. Lignocaine
4. Procaine

Correct answer: 1. Cocaine